"Peritoneal mice" is
1. Pseudomyxoma peritonei
2. Appendices epiploicae
3. Peritoneal seedings of tumour
4. Endometriosis

Correct answer: 2. Appendices epiploicae

Explanation: Ans. is 'b' i.e., Appendices epiploicae